All the following familial syndromes are associated with development of pheochromocytomas except ?
1. Sturge-Weber syndrome
2. Von Recklinghausen disease
3. MEN Type II
4. Prader-Willi syndrome

Correct answer: 4. Prader-Willi syndrome

Explanation: Ans. is 'd' i.e., Prader willi syndrome Pheochromocytoma is associated with the following familial syndromes. MEN syndrome type 2A & type 2B 3. Von Recklinghausen (Neurofibromatosis type I) Von Hippel lindau syndrome 4. Sturge weber Syndrome Familial paraganliomas 1,2, & 3 are also associated with Pheochromocytoma (Has been added in 8th/e of Robbin's)